Concurrent list does not encompass:
1. Prevention of extension of communicable disease from one unit to another
2. Prevention of adulteration of food stuffs
3. Regulation and development of medical profession
4. Vital statistics

Correct answer: 3. Regulation and development of medical profession

Explanation: The regulation and development of medical profession is not included in the concurrent list and instead is placed in the Union list and is controlled by the union health ministry. Ref: Park Textbook of Preventive and Social Medicine, 19th Edition, Page 730